Treatment of a large hydrocele in an infant ?
1. Repeated aspirations
2. Ligation of sac at the opening of ingunal canal
3. Herniotomy
4. Eversion of sac

Correct answer: 3. Herniotomy

Explanation: Ans. is 'c' i.e., Herniotomy